During extraction of lower impacted right molar, the bone is removed:
1. To expose maximum dimension of tooth
2. Upto CE junction
3. Upto furcation area
4. Upto half of roots

Correct answer: 2. Upto CE junction